If a doctor gives a -false medical certificate to a patient, he is liable to be prosecuted under which section of the IPC -
1. 137
2. 147
3. 167
4. 197

Correct answer: 4. 197

Explanation: 197 IPC: Issuing or signing (attesting) false certificate by a doctor is a criminal offence.